The most posterior structure seen in the root of the lung is?
1. Bronchus
2. Superior pulmonary vein
3. Inferior pulmonary vein
4. Pulmonary artery

Correct answer: 1. Bronchus

Explanation: Ans-AMnemonic is Atal Bihari Vajpayee (ABV)The arrangement of pulmonary structures at the hila of the lungs - ABV:From (A)above to below: (A)artery-(B)ronchus-(v)vein.The pulmonary artery is uppermost whereas, pulmonary vein is inferior most.This applies well to left lung...for right lung one additional bronchus goes above the artery and is called as ep-arterial bronchus.Hence, in the right lung, the uppermost structure in the hilum will be a bronchus.a. NOTE: There are 2 veins which are named anterior & inferior according to their location at the hilum. (Similar arrangement on both sides)Bronchus & bronchial arteries are always posterior-most structures at the hila of both lungs.